Puerperal tetanus refers to:
1. A complication of narcotic addiction
2. Result from unsterile instrumentation during labour
3. After months or years, Cl.tetani again multiply and cause disease
4. It is also known as tetanus neonatorum

Correct answer: 2. Result from unsterile instrumentation during labour

Explanation: It is also known as Post abortal tetanus.